True about development all except:
1. Parathyroid glands develop from 3rd & 4th branchial arch
2. Tongue muscles develop from occipital myotome
3. Superior parathyroid gland develops from 4th branchial arch
4. Inferior parathyroid gland develop from 2nd branchial arch

Correct answer: 4. Inferior parathyroid gland develop from 2nd branchial arch

Explanation: D. i.e. Inferior parathyroid gland develop from 2^d branchial arch